Which of the following is associated with anti-glomerular basement membrane antibody ?
1. IgA nephropathy
2. Membranous glomerulonephritis
3. Goodpasture's syndrome
4. Membrano-proliferative glomerulonephritis

Correct answer: 3. Goodpasture's syndrome